Ingestion of raw fish leads to gallbladder cancer due to:
1. Clonorchis sinensis
2. Hyrnenolepis diminuta
3. Angiostrongylus
4. latum

Correct answer: 1. Clonorchis sinensis

Explanation: Ans. (a) Clonorchis sinensis Also called as rat lungworm Natural host - Rat, crabs, fresh water prawns and frogs Intermediate host - Molluscs, slugs, and snails Mode of transmission Eating infected molluscs etc. containing third stage larva Pathogenicity Meningoencephalitis by died larvae, so antihelminthic is not recommended Diagnosis Peripheral and CSF eosinophilia Demonstration of larvae/adult worm in CSF Angiostrongylos costaricensis causes inflammation of lower bowel as abdominal angiostrongyliasis Remember: H. diminuta (rat tapeworm) is common parasite of rat and mice. Similar to H. nana in its life cycle but is larger (10-60 cm) than H. nana. Human infection is rare, asymptomatic, occur by accidental ingestion of infected rat fleas. A. Cantonensis is the commnest cause of cosinopholic miningitis.